Which of the following brain tumors does not spread via CSF -
1. Germ cell tumors
2. Medulloblastoma
3. CNS lymphoma
4. Craniopharyngoma

Correct answer: 4. Craniopharyngoma